Parakeratosis is:
1. Absence of nucleus in stratum corneum
2. Persistence of nucleus in stratum corneum
3. Thickening of corneum layer
4. Thickening of prickle cell layer

Correct answer: 2. Persistence of nucleus in stratum corneum

Explanation: Ans. B. Persistence of nucleus in stratum corneum* Stratum corneum is the most superficial layer of the skin and is devoid of nucleus.* Parakeratosis is retention of nucleus in stratum corneum* If there is presence of nucleus in this layer it can be a normal case or can be associated with some pathology.* Normally nucleus in corneum persists in vagina and in mucous membrane of mouth.* Pathologies having nucleus in stratum corneum: seborrheic dermatitis, squamous cell CA, Actinic keratosis, psoriasis, etc.